Glucose can be synthesized from all of the following except ?
1. Acetoacetate
2. Lactic Acid
3. Glycerol
4. Amino acid

Correct answer: 1. Acetoacetate

Explanation: Acetoacetate is a ketone body.During ketolysis,it is activated to acetoacetyl CoA which gives acetyl CoA.Acetyl CoA can not be reconverted back to pyruvate so acetoacetate can not be utilized for gluconeogenesis. Ref: Janson L.W., Tischler M.E. (2012). Chapter 2. Carbohydrates. In L.W. Janson, M.E. Tischler (Eds), The Big Picture: Medical Biochemistry.